The most common reported oral malignancy in HIV infection is
1. Sguamous cell carcinoma
2. Verrucous carcinoma
3. Multiple myeloma
4. Kaposi sarcoma

Correct answer: 4. Kaposi sarcoma